Sistrunk operation used for
1. Thyroglossal Cyst
2. Branchial Cyst
3. Cystic Hygroma
4. Laryngocele

Correct answer: 1. Thyroglossal Cyst

Explanation: Ans. (a) Thyroglossal CystRef Sabiston 20th edition Page 1861* Sistrunk operation involves complete excision of the cyst in continuity with its tract, the central portion of the hyoid bone, and the tract interior to the hyoid bone extending to the base of the tongue